Taysach's disease is due to the deficiency of
1. Hexosaminidase
2. Lysozomal enzyme
3. Galactocerebroside
4. Ceramidase

Correct answer: 1. Hexosaminidase

Explanation: (A) Hexosaminidase # Tay-Sachs disease (TSD, GM2 gangliosidosis, Hexosaminidase A deficiency or Sphingolipidosis) is a genetic disorder, fatal in its most common variant known as Infantile Tay-Sachs disease. TSD is inherited in an autosomal recessive pattern.> Disease occurs when harmful quantities of a fatty acid derivative called a ganglioside accumulate in the nerve cells of the brain.> Gangliosides are lipids, components of cellular membranes, and the ganglioside GM2, implicated in Tay-Sachs disease, is especially common in the nervous tissue of the brain.